The rate of injection of intravenous Valium is:
1. 1 ml / min
2. 2.5 ml / min
3. 1 mg / min
4. 2.5 mg / min

Correct answer: 1. 1 ml / min